Integrated Management of Neonatal and Childhood Illness (IMNCI) includes all except -
1. Malaria
2. Respiratory infections
3. Diarrhoea
4. Tuberculosis

Correct answer: 4. Tuberculosis

Explanation: Ans. is 'd' i.e., Tuberculosis o IMNCI includes - Diarrhea, Malaria, Malnutrition, ARI (Pneumonia, Otitis media), Measles.